Which is not a connective tissue
1. Blood
2. Bone
3. Cartilage
4. Muscle

Correct answer: 4. Muscle

Explanation: Connective tissues are classified as loose connective tissue & dense irregular connective tissue Loose areolar tissue include adipose tissue,areolar tissue,myxomatous tissue and reticular tissue. Dense irregular connective tissue include tendon,cartilage and bone BD CHAURASIA S handbook of General Anatomy Fourth edition Pg 196